In Dacryocystorhinostomy opening is made into
1. Superior meatus
2. Middle meatus
3. Inferior meatus
4. Medial wall of nose

Correct answer: 2. Middle meatus